Suicide risks include all EXCEPT
1. Social isolation
2. Male sex
3. Drug dependence
4. Somatization

Correct answer: 4. Somatization

Explanation: (D) Somatization # Presence of the following Factors increases the risk of completed suicide1. Age>40 year2. Male sex3. Staying single4. Previous suicidal attempt(s)5. Depression (risk about 25 times more than usual) i. Presence of guilt, self-accusation, agitation, nihilistic ideation, worthlessness, hypochondriacal delusions and/or severe insomnia ii. More at the beginning or towards the end of a depressive episode6. Suicidal preoccupation (e.g. a 'suicide note' is written or detailed plans are made for committing suicide)7. Alcohol or drug dependence8. Severe, disabling, painful or untreatable physical illness9. Recent serious loss or major stressful life event10. Social isolation.